Resorption of dental tissue is caused by
1. Osteoclasts
2. Osteoblasts
3. Odontoclasts
4. Odontoblasts

Correct answer: 3. Odontoclasts